In korsakoff psychosis all are seen except -a) Loss of remote memoryb) Loss of intellectual function but preservation of memoryc) Lack of insight, unable to understand the disabilityd) Reversible state
1. acd
2. bcd
3. abc
4. abd

Correct answer: 4. abd

Explanation: "Korsakoff syndrome is a mental disorder that is characterized by severe and `irreversible' memory impairment' and confabulation behavior in the absence of intellectual decline or attention deficit".

Recent memory is impaired with relative preservation of remote memory.


Lack of insight is a characteristic feature of korsakoff's syndrome.


I think there is printing mistake in the question. Except should not be there in the question. In that condition answer will be option 'c'.